Which of the following RNA contains thymidine
1. tRNA
2. Ribosomal RNA
3. Eukaryotic RNA
4. Prokaryotic RNA

Correct answer: 1. tRNA

Explanation: Transfer RNA (tRNA) have modified bases.
Ribothymidine is a modified base of tRNA in which methyl group is added to uracil to form thymine.